Generally in majority of children, the sequence of 
eruption of permanent teeth in mandible is
1. 1-6-2-3-5-4-7-8
2. 6-1-2-4-5-3-7-8
3. 6-1-2-3-4-5-7-8
4. 6-1-2-4-3-5-7-8

Correct answer: 3. 6-1-2-3-4-5-7-8